The essential ingredient in the space sprays for vector control is –
1. Malathion
2. Fenithion
3. Pyrethrum
4. BHC

Correct answer: 3. Pyrethrum